Cordocentesis is done in which period of pregnancy?
1. 11-14 weeks
2. 18-20 weeks
3. 26-28 weeks
4. 28-32 weeks

Correct answer: 2. 18-20 weeks

Explanation: Cordocentesis or percutaneous umbilical blood sampling (PUBS)- Done after 18 weeks Invasive procedure Gives results in 24-48 hrs punctured near the insertion at the placental end Uses - Fetal anemia assessment remains the most common indication. Assessment and treatment of platelet allo-immunization and for fetal karyotype determination